A person who is HBsAg negative, Anti-HBs positive and Anti HBc positive, is most probably suffering from?
1. Immunity due to vaccination of hepatitis B
2. Immunity due to infection of hepatitis B
3. Acute infection of hepatitis B
4. Chronic infection of hepatitis B

Correct answer: 2. Immunity due to infection of hepatitis B

Explanation: HBsAg negative, Anti-HBs positive, Anti HBc positive means there is no surface antigen, which is the indicator of ongoing infection; but there is antibody against both the core and surface antigens. This shows that this person had an exposure to hepatitis B infection in the past and gained acquired immunity. Ref: The Encyclopedia of Hepatitis and Other Liver Diseases By James H. Chow, Cheryl Chow, 2006, Page 119.